Which of the following is a derivative of ventral mesogastrium ?
1. Greater omentum
2. Gastrosplenic ligament
3. Linorenal ligament
4. Lesser omentum

Correct answer: 4. Lesser omentum

Explanation: Ans. is 'd' i.e., Lesser omentum